True about quinidine is/are:
1. It increases effective refractory period
2. Causes paradoxical tachycardia
3. Cinchonism is seen
4. All of these

Correct answer: 4. All of these